Cause for nipple retraction in breast carcinoma is
1. Blocking of lymphatics
2. Involvement of the Cooper's ligament
3. Infiltration of ducts
4. Skin infiltration

Correct answer: 3. Infiltration of ducts

Explanation: Infiltration of the Cooper’s ligament will give rise to dimpling of skin.
Blocking of subcutaneous lymph nodes will give rise to peau d'orange appearance.